Orbital apex syndrome constitutes all except-
1. Ptosis
2. CSF rhinorrhea
3. Ophthalmoplegia
4. Pain over distribution of optic nerve

Correct answer: 2. CSF rhinorrhea

Explanation: *Superior orbital fissure syndrome consists of deep orbital pain, frontal headache and progressive paralysis of CN 6, 3 and 4 and in that order. *Orbital apex syndrome is superior orbital fissure syndrome along with the involvement of optic nerve and maxillary division of trigeminal nerve. *Both these syndromes can occur as a complication of sinusitis. Ref: Dhingra 5th/e p.213